Inability to perform any work without discomfort is
1. NYHA 1
2. NYHA 2
3. NYHA 4
4. NYHA 3

Correct answer: 3. NYHA 4

Explanation: New York Heart Association (NYHA) Classification
Importance: Scale used for quantification of degree of functional limitation imposed by Congestive health failure (CHF)